Which of the following vessel is most commonly involved in hemorrhage from duodenal ulcer?
1. SMA
2. IVC
3. Gastroduodenal artery
4. Right Gastroepiploic artery

Correct answer: 3. Gastroduodenal artery

Explanation: Bleeding: MC complication, on posterior wall, gastroduodenal artery is most commonly involved